Which of the following is associated with double stranded DNA antibody -
1. Juvenile rheumatoid arthritis
2. SLE
3. Systemic sclerosis
4. Dermatomyositis

Correct answer: 2. SLE

Explanation: Ans. is 'b' i.e., SLE